Nephrocalcinosis is seen in all except
1. Sarcpidosis
2. Distal A
3. Milk alkali syndrome
4. Medullary cystic kidney

Correct answer: 4. Medullary cystic kidney

Explanation: Nephrocalcinosis is a diffuse deposition of calcium salts in the interstitium in kidney Condition associated with nephronocalcinosis; Hyperoxaluria Hyperparathyroidism Prolonged immobilization Hypervitaminosis D Hypophosphatemic rickets Excessive bone destruction in metastasis Excessive calcium intake (milk alkali syndrome) etc Harrison 18/2383 Robbin9/e p948